One standard deviation in normal standard curve includes value-
1. 50%
2. 68%
3. 95%
4. 100%

Correct answer: 2. 68%

Explanation: 1 SD includes → 68% of values
2 SD includes → 95% of values
3 SD includes → 99.7% of values